Failure of clot retraction indicates
1. Low platelet count
2. Factor VIII deficiency
3. Facto XIII deficiency
4. Fibrinogen deficiency

Correct answer: 1. Low platelet count

Explanation: Ans. (a) Low platelet count(Ref: Robbins 9th/pg 657)This test measures the amount of time it takes for a blood clot to pull away from the walls of a test tube (Shrinking).The edges of the blood vessel wall at the point of injury are slowly brought together again to repair the damage.It is used to evaluate and manage blood platelet disorders, including Glanzmann's thrombastheniaSo Clot retraction depends primarily on the number and activity of the blood platelets